All are true regarding selective estrogen receptor down (SERD) Fulvestrant exept
1. Used for treatment of advanced breast cancer
2. Is a selective estrogen antagonist
3. Is slower, short acting and less safer than SERMS
4. Administered as once month i.m. dose

Correct answer: 3. Is slower, short acting and less safer than SERMS

Explanation: Fulvestrant is more efficient than tamoxifen,used in the treatment of metastatic ER positive breast cancer. It is a selective estrogen antagonist and is administered as 250mg monthly i.m Injections. (Ref.Essentials of medical pharmacology TD Tripathi 7th edition page no 313)